Opioid analgesic used in treatment of cough is ?
1. Loperamide
2. Diphenoxylate
3. Codeine
4. Meperidine

Correct answer: 3. Codeine